A twenty year old female patient comes to the clinic with discoloration of the upper right central incisor. This tooth was intact and otherwise asymptomatic.

The common sequel following bleaching non vital teeth are:
1. Ankylosis
2. Periodontal pathology
3. External cervical resorption
4. Reinfection

Correct answer: 3. External cervical resorption